Maximum blood in the body lies in
1. Aorta
2. Veins
3. Heart
4. Arterioles

Correct answer: 2. Veins

Explanation: Maximum blood in the body lies in - veins and venules -64%.Ref: Guyton and hall 11th edition.